Infection with which of the following agents is particularly dangerous for anemic patients -
1. Adenovirus
2. Cytomegalovirus
3. Herpes simplex virus
4. Parvovirus

Correct answer: 4. Parvovirus